Drug of choice for eclampsia is?
1. Magnesium sulphate
2. Clonazepam
3. Antihypertensives
4. Beta blockers

Correct answer: 1. Magnesium sulphate

Explanation: Ans. (a) Magnesium sulphateRef: William's 22nd ed ch-34y Current Diagnosis & Treatment Obstetrics & Gynecology lOthed Table 19-2f Table 19-4y Danforth 1 Othed p-264